MEN-2A includes A/E -
1. Ganglioneuromas
2. Cutaneous Lichenoid amyloids
3. Mutation in RET in chromosome 10
4. Parathyroid adenoma

Correct answer: 1. Ganglioneuromas

Explanation: MEN 2A or Sipple's syndrome &. MEN 2B are associated with mutation in the RET protooncogene located in pericentromeric region of chromosome 10.